Iron deposition line at edge of pterygium on corneal epithelium is known as?
1. Stocker's line
2. KF Ring
3. Fleischer ring
4. Ferrys line

Correct answer: 1. Stocker's line

Explanation: Ans. is 'a' i.e., Stocker's line LineLocationCausesFerry'sAt trabeculectomy margin, so usually superiorTrabeculectomyStocker'sAt pterygium margin, so usually lateralPterygiumHudson-StahliUsually horizontal inferior 1/3 of corneaDry eye syndrome (common in elderly)FleischerRing around base of cone, so usually inferocentralKeratoconus Direct versus indirect ophthalmoscopyFeatureDirect ophthalmascopyIndirect ophthalmoscopyCondensing lensNot requiredRequiredExamination distanceAs close to patients eye as possibleAt an arms lengthImageVirtual, DrectReal, InvertedMagnificationAbout 15 times4-5 timesIlluminationNot so bright; so not useful in hazy mediaBright: so, useful for hazy mediaArea of fieldAbout 2 disc dioptresAbout 8 disct diopterStereopsisAbsentPresentAccessible fundus viewSlightly beyond equatorUp to ora serrataExamination through hazy mediaNot possiblePossible